Which of the following muscle is supplied by external laryngeal nerve which is a branch of superior laryngeal nerve
1. Posterior cricoarytenoid
2. Cricothyroid
3. Lateral cricoarytenoid
4. Thyroarytenoid

Correct answer: 2. Cricothyroid

Explanation: (Cricothyroid) (337, 358-D)Acting on vocal cords* Abductors: Posterior cricoarytenoid* Adductors: lateral cricoarytenoid; Interarytenoid (Transverse arytenoid); Thyroarytenoid (external part)* Tensors: Cricothyroid; Vocalis (internal part of thyroarytenoid)* All the muscles which move the vocal cord (abductors, adductors or tensors) are supplied by the recurrent laryngeal nerve except the cricothyroid.* Cricothyroid receives its innervations from the external laryngeal nerve - a branch of superior laymgeal nerve* Trottler's (or sinus of Morgagni) syndrome or Triad - seen in nasopharyngeal carcinoma* (i) Conductive hearing loss (ii) Ipsilateral immobility of soft palate (iii) Neuralgic pain in the distribution of V3